The plastic cover of syringes are disposed of in
1. Red bag
2. Yellow bag
3. Black bag
4. Blue bag

Correct answer: 3. Black bag

Explanation: Wrapper in Black Syringe without needle - RED Needle - White